Conduct disorder in a child manifests with all except
1. Disregard for right of others
2. Doesn't care for authority
3. Backward in studies
4. Decreased head circumference

Correct answer: 4. Decreased head circumference

Explanation: Conduct disorder is characterised by a persistent and significant pattern of conduct, in which the basic rights of others are violated or rules of society are not followed. The diagnosis is only made when the conduct is far in excess of the routine mischief of children and adolescents. The characteristic clinical features include:1. Frequent lying.2. Stealing or robbery.3. Running away from home and school.4. Physical violence such as rape, fire-setting, assault or breaking-in, use of weapons.5. Cruelty towards other people and animals. Ref: A Short Textbook of Psychiatry, Niraj Ahuja, 7th Edition, pg. no.167